Function of phospholipid in cell membrance is:
1. Cell to cell variation
2. Transduction of Signals
3. Transmembrane preparation of protein
4. DNA replication

Correct answer: 2. Transduction of Signals

Explanation: B i.e. Transduction of signals